Thickening of eyelashes is side effect of which:
1. Brimonidine
2. Propranolol
3. Latanoprost
4. Acetazolamide

Correct answer: 3. Latanoprost

Explanation: Ans. C. LatanoprostBrimonidine - lid retraction, propranolol-headache, latanoprost-thickening of eyelash, acetazolamide- hypokalemia.